Rajiv Gandhi Shramik Kalyan Yojana is associated with:
1. Support for workers injured during their duty
2. Provision of unemployment allowance
3. Provision of jobs for widows of employees covered under ESI scheme
4. Provision of training for employees

Correct answer: 2. Provision of unemployment allowance

Explanation: The Rajiv Gandhi Shramik Kalyan Yojana is a scheme which provide an unemployment allowance for employees covered under ESI scheme. The scheme came into effect from 1st April 2005. The allowance can be availed in one spell or in different spells of no less than 1 month. Ref: Park, Edition 21, Page - 758